Which of the follow ing techniques use piezoelectric crystals?
1. Ultrasonography
2. X-ray diffraction
3. NMR imaging
4. Xeroradiography

Correct answer: 1. Ultrasonography

Explanation: Ans. is 'a' i.e.. Ultrasonography {Ref: Sutton 6th/e p. 12: Grainger 4th/ep. 102]o Ultrasonography is based on piezoelectric effect.o MR! is based on gyeromagnetic property of proton (H+).